Surgical alteration or suturing of gunshot wounds may create problems in distinguishing entry from exit. This is called as:
1. Formication phenomenon
2. Gordon phenomenon
3. Cookie cutter phenomenon
4. Kennedy phenomenon

Correct answer: 4. Kennedy phenomenon

Explanation: Ans. Kennedy phenomenon